Oogonia are derived from
1. Yolk sac
2. Germinal epithelium
3. Chorion
4. Mesoderm

Correct answer: 1. Yolk sac

Explanation: Inderbir Singh's; Human Histology; Seventh edition; Pg 346The stem cells from which ova are derived are called Oogonia. These are large round cells present in the cortex of the ovary. Oogonia are derived from the primordial germ cells that are formed in the region of the yolk sac and migrate into the developing ovary